At which level does methionine enter the TCA cycle?
1. Acetyl co A
2. Succinyl co A
3. Oxaloacetate
4. Pyruvate

Correct answer: 2. Succinyl co A

Explanation: Reference: Lehninger illustrated biochemistry 5th edition